A patient presented with multiple vesicles over the body with fish net like IgG deposition in the epidermis. Most likely diagnosis is –
1. Pemphigus vulgaris
2. Pemphigus folliaceous
3. Dermatitis herpetiformis
4. Bullous pemphigoid

Correct answer: 1. Pemphigus vulgaris